True about MMV:
1. 150 lt per min
2. Measured with maximum voluntary effort
3. Maximum breathing capacity per minute
4. All

Correct answer: 4. All

Explanation: MVV: 150lt per min Maximum volume of air that can be breathed In and out by the patient per min Ref: G K Pal textbook of Practical physiology 4th edition, page number:159